Which is not a poxvirus:
1. Vaccinia virus
2. Molluscum contagiosum
3. Tanapox virus
4. Coxsackie virus

Correct answer: 4. Coxsackie virus

Explanation: Ans. d. Coxsackie virus